Which Mucopolysaccharide does not contain Uronic acid
1. Heparin
2. Dermatan sulphate
3. Keratan sulphate
4. Hyaluronic acid

Correct answer: 3. Keratan sulphate

Explanation: Keratan sulphate has N-acetyl glucosamine and galactose. It does not contain uronic acid.
It general all Mucopolysaccharides, contain a disaccharide repeat unit having aminosugar and Uronic acid.